All are true about glomus jugulare tumors except:
1. Common in female
2. Causes sensory neural deafness
3. It is a disease of infancy
4. It invades labyrinth, petrous pyramid and mastoid

Correct answer: 3. It is a disease of infancy

Explanation: Ans. C It is a disease of infancyLet us see each option separatelyOption a - Common in femalesIt is correct as females are affected five times more than males.Option b - Causes sensorineural deafnessThis is partially correct as glomus tumor leads to mainly conductive type hearing loss. Sensorineural hearing loss is uncommon but can occur if the tumor erodes the dense otic capsule bone and invades the inner ear.Option c - It is a disease of infancyThis is incorrect as Glomus tumor is seen in middle age (40-50 years)Option d -It invades labyrinth, petrous pyramid and mastoid.